Liver malignancies can be studied by -
1. Radionuclear study
2. Ultrasound
3. CT
4. All

Correct answer: 4. All

Explanation: Ans d i.e. All